MC cause of meningitis in post-neonatal period:
1. Klebsiella
2. Streptococcus pneumoniae
3. Staphylococcus aureus
4. Mycobacterium tuberculosis

Correct answer: 2. Streptococcus pneumoniae

Explanation: IN INDIA- Age group Organism Neonate Acinetobacter, E.coli 1month to 2 years Strep. pneumoniae Older children Strep. Pneumoniae, N. meningitidis IN WORLD- Neonate Group B strep, E.coli, Listeria Infant and children Strep. Pneumoniae, N. meningitidis, H. influenza Adolescent and young adults Strep. Pneumoniae, N. meningitidis